Most severe form of malignant melanoma is:
1. Superficially spreading
2. Nodular infiltrating type
3. Those arising in lower limb
4. Those in choroids

Correct answer: 2. Nodular infiltrating type

Explanation: Ans: b (Nodular infiltrating type)Ref: Bailey & Love, 23rd ed, p. 183 & S. Das Surgery 3rd ed, p. 112